The histological features of celiac disease include all of the following EXCEPT:
1. Crypt hyperplasia
2. Increase in thickness of the mucosa
3. Increase in intraepithelial lymphocytes
4. Increase in inflammatory cells in lamina propria

Correct answer: 2. Increase in thickness of the mucosa

Explanation: Biopsy of intestine in celiac sprue demonstrates; overall mucosal thickness remains same Villous atrophy Loss of microvilli brush border, with crypt hyperplasia Plasma cells, lymphocytes, macrophages, eosinophils, mast cells are present in lamina propria